Protein energy ratio is highest in:
1. Egg
2. Wheat
3. Milk
4. Fish

Correct answer: 4. Fish

Explanation: Fish